Which is the most common type of female pelvis:
1. Gynaecoid
2. Anthropoid
3. Android
4. Platypelloid

Correct answer: 1. Gynaecoid

Explanation: Gynaecoid